Androgenic alopecia in female is caused by:
1. Myxedema
2. Cushing disease
3. Stein-Leventhal syndrome
4. Addison's disease

Correct answer: 3. Stein-Leventhal syndrome

Explanation: Ans. C. Stein-Leventhal syndromeAndrogenetic Alopecia (Male pattern; Female pattern): AssociationsIn women, features of hyperandrogenism may be present inthe form of hirsutism, acne & clitoromegaly.Always rule out polycystic ovary disease (PCOD).Stein-Leventhal syndrome, also called polycystic ovary syndrome (PCOS)Myxedema:Hair texture may become fine, and a diffuse alopecia occurs in up to 40% of patients, persisting for months after restoration of euthyroidism.